In Cleidocranial dysostosis, sometimes the roots of the permanent teeth are
1. Thin and Long
2. Thin and short
3. Thick and short
4. Fused

Correct answer: 2. Thin and short